Which of the following is the most common cause of congenital hydrocephalus?
1. Craniosynostosis
2. Intra uterine meningitis
3. Congenital aqueductal stenosis
4. Vein of Galen malformation

Correct answer: 3. Congenital aqueductal stenosis

Explanation: Ans. C. Congenital aqueductal stenosisObstructive or noncommunicating hydrocephalus develops most commonly in children because of an abnormality of the aqueduct of Sylvius (Congenital aqueductal stenosis) or a lesion in the fourth ventricle. Nonobstructive or communicating hydrocephalus most commonly follows a subarachnoid hemorrhage, which is usually a result of intraventricular hemorrhage in a premature infant. Among the various causes of meningitis, tuberculous meningitis has a propensity to cause hydrocephalus (due to thick, tenacious exudate that obstructs the basal cistern).